Growth factor oncogen is -
1. myc
2. fos
3. sis
4. jun

Correct answer: 3. sis

Explanation: Harshmohan textbook of pathology 7th edition. growth factor oncogene 1. SIS - PDGF beta 2. RAS - TGF alpha 3. HST 1, INT 2- FGF 4.HGF- c MET. MYC proto oncogene produces nuclear transcription factor. .